Graft from homozygotic twin is known as -
1. Autograft
2. Isograft
3. Allograft
4. Xenograft

Correct answer: 2. Isograft

Explanation: Ans. is 'b' i.e., Isograft o Graft from homozygotic (identical) twin is called as isograft.Grafto A tissue graft is a medical procedure in which tissue from a donor is used to replace missing or damaged tissue on a patient ( recipient).Terminology of grafts :DonorNameSynonymsSelfDifferent individual, genetically identical with recipient (Identical twin or member of same inbred strain)Genetically unrelated member of same speciesDifferent speciesAutograftIsograftAutogenous or autogenic graft.Isologous or syngeneric graft or syngraftAllograftXenograftAllogenic graft. Formerly called homograftXenograft, Formerly called heterografto Orthoptic graft - Graft applied in anatomically normal site eg. skin graft,o Heterotopic graft - Graft applied in anatomically abnormal site.